Following are sulphonyl urea compounds except:
1. Tolbutamide
2. Chloropropamide
3. Metformin
4. Glibenclamide

Correct answer: 3. Metformin